Stratum germinativum is synonymous to
1. Stratum Basale
2. Stratum Spinosum
3. Stratum granulosum
4. Stratum corneum

Correct answer: 1. Stratum Basale

Explanation: Stratum basale:

Also called stratum germinativum.
Made of single layer of columnar epithelium.
Contains keratinocytes and melanocytes.